Thymoma with hypogammaglobulinemia is also known as:
1. Goods syndrome
2. Capgras syndrome
3. Fregoli syndrome
4. Todd syndrome

Correct answer: 1. Goods syndrome

Explanation: Thymoma with hypogammaglobulinemia : Good's syndrome. The Capgras syndrome is a disorder in which a person thinks that a friend, spouse, parent, or other close family member has been replaced by an identical impostor. Fregoli syndrome is the delusional belief that one or more familiar persons, usually persecutors following the patient, repeatedly change their appearance. Alice-in-Wonderland syndrome also known as Todd's syndrome or lilliputian hallucinations, is a disorienting neurological condition that affects human perception. Sufferers may experience micropsia, macropsia, or size distortion of other sensory modalities. Ref: Harrison, E-18, Chapter e-20.